Most common cause of HUS in children is -
1. E coli O157/H7
2. S typhi
3. Shigella
4. None

Correct answer: 1. E coli O157/H7

Explanation: Ans. is 'a' i.e., E coli O157/H7 o The majority of HUS in children (90%) is related to prototypic diarrhea associated form, predominately in previously healthy children 6 months to 4 years of age with a peak between 1 and 2 years,o Shiga toxin producing E coli (STEC) is the major cause of diarrhea associated HUS.o Specifically, E coli with serotype Ol 57:H7 is the bacteria most commonly associated with HUS (90%) and is the most virulent.o Other common bacteria implicated in causation of HUS are :Shigella dysenteriaeSalmonella typhaeCamphylobacter jejuniYersinia speciesPseudomonas speciesClostridium difficle